Phase II reactions include all EXCEPT:
1. Acetylation
2. Glycine conjugation
3. Methylation
4. Reduction

Correct answer: 4. Reduction

Explanation: Phase I reactions include: Phase II reactions includes: Hydroxylation Oxidation Reduction Hydrolysis Conjugation ( most common xenobiotic reaction) Methylation (by SAM- S-Adenosyl Methionine) Sulfation (by PAPS- Phospho Adenosyl Phospho Sulfate) Acetylation (by Acetyl CoA)